Surgeon excises a portion of liver to the left of the attachment of the falciform ligament. The segments that have been resected are
1. Segment 1a and 4
2. Segment 1 and 4b
3. Segment 2 and 3
4. Segment 1 and 3

Correct answer: 3. Segment 2 and 3

Explanation: Falciform ligament Falciform ligament is the most obvious external landmark on the liver surface Plane passing through the falciform ligament passes through the left lobe It divides the left lobe into a medial segment (Segment IV) and lateral segment (Segment II and III) Ref: Sabiston 20th edition Pgno : 1421